Failure of descent of thyroid analage can be seen in the
tongue
1. In anterior 2/3 of dorsal aspect
2. In posterior 1/3 of dorsal aspect
3. Near the base of tongue close to foramen caecum
4. In anterior 2/3 of inferior surface

Correct answer: 3. Near the base of tongue close to foramen caecum